A young girl has consumed barium carbonate with suicidal intent. She complains of generalized muscle weakness. The most likely electrolyte is -
1. Hyponatremia
2. Hypocalcemia
3. Hypokalemia
4. Hypomagnesemia

Correct answer: 3. Hypokalemia